Mycobacterium causing skin ulcer – a) M. smegmatisb) M. scrofulaceumc) M. ulceransd) M. fortuitume) M. marinum
1. abd
2. acd
3. bde
4. cde

Correct answer: 4. cde

Explanation: Mycobacteria causing skin infections

Post-trauma abscess → M.chelonae, M.fortuitum, M.terrae
Swimming pool granuloma → M.marinum(M. Balanei)
Buruli ulcer → M.ulcerans
Lupus vulgaris → M.tuberculosis
Scrofuloderma → M.tuberculosis 
Abscess and granuloma may break to fonn an ulcer.
So, all the organism in above list can cause skin ulcer.